Cardinal feature of antisocial personality
1. Violation of rules of society
2. Attention - seeking behavior
3. Unstable interpersonal relationship
4. Grandiose behavior

Correct answer: 1. Violation of rules of society

Explanation: These traits include callous unconcern for the feelings of others, gross and persistent attitude of irresponsibility and disregard for social norms, rules and obligations, incapacity to maintain enduring relationships, very low tolerance to frustration and a low threshold for discharge of aggression, incapacity to experience guilt and to profit from experience, particularly punishment, and marked proneness to blame others. Eliminationg other options: option B: it is seen in Histrionic personality disorder. option C: it is seen in Boderline personality disorder.option D: not seen in personality disorder but could be seen as delusions of grandiosity in Mania. Ref: A Short Textbook of Psychiatry, Niraj Ahuja, 7th Edition, pg. no. 115